Most common malignant tumor of heart in children is-
1. Rhabdomyoma
2. Rhabdomyosarcoma
3. Angiosarcoma
4. Lipoma

Correct answer: 2. Rhabdomyosarcoma

Explanation: Ans is 'b' i.e. Rhabdomyosarcoma o Primary malignant cardiac tumors in children are almost exclusively sarcomas.o Located in the right side of the heart, atrial septum, right atrial wall, or root of the pulmonary artery.